Which of the following does not belong to 3Ds of Pellagra
1. Diarrhea
2. Dementia
3. Dermatitis
4. Diplopia

Correct answer: 4. Diplopia

Explanation: Options a, b, c are part of 3Ds of pellagra.